Pin index for Air is
1. 1,4
2. 2,5
3. 5
4. 1,5

Correct answer: 4. 1,5

Explanation: PIN index number prevents wrong fitting of the cylinders . AIR - 1 ,5 02 - 2 ,5 N20 - 3 ,5 CO2 - 1 ,6 ; 2,6(Liquid) Cyclopropane 3 ,6 Entonox 7